In forearm ulnar nerve gives muscular branch to which muscle ?
1. Flexor digitorium profundus
2. Palmaris brevis
3. Gastronemius
4. Adductor pollicis

Correct answer: 1. Flexor digitorium profundus

Explanation: In arm ulnar nerve has no supply, it supplies the muscles in the forearm and in hand. It also gives cutaneous branches and vascular /articular branches.in the forearm, it supplies medial half of flexor digitorum profundus, flexor carpi ulnaris. BD Chaurasia 7th edition Page no: 182 Figure:13.12,page no:179- vishram singh- textbook of upper limb& thorax- 2nd edition.